Drug of choice for cerebral malaria is:-
1. Chloroquine
2. Artesunate
3. Primaquine
4. Sulfadoxine

Correct answer: 2. Artesunate

Explanation: Drug of choice for cerebral malaria is parenteral aemisinins beacuse these are faster acting. more effective, better tolerated and more conveniently administered. Therefore aesunale (i.v./i.m.) or artemether ( i.m.) or arteether (i.m.) are now preferred over quinine for severe malaria. TREATMENT AND PROPHYLAXIS OF MALARIA (NATIONAL GUIDELINES ACCORDING TO NBVDCP) Treatment of Uncomplicated malaria Parasite Males and Non-pregnant females Pregnancy (1st trimester) Pregnancy (2nd and 3rd trimester) P. vivax(orP. ovale) Chloroquine + Primaquine Chloroquine Chloroquine P. falciparum(orP. malariale) ACT + Primaquine Quinine ACT Mixed ACT + Primaquine Quinine ACT Treatment of severe/complicated malaria P. falciparum Artesunate followed by oral ACT Artesunate followed by oral ACT Artesunate followed by oral ACT